A 60 year old male a sudden fall in toilet. His BP was 90/50 mm Hg and pulse was 100/min. His relatives reported that his stool was black/dark in colour. Further careful history revealed that he is a known case of hypertension and coronary artery disease and was regularly taking aspirin, atenolol and sorbitrate. The most likely diagnosis is-
1. Gastric ulcer with bleeding
2. Acute myocardial infarction with cardiogenic shock
3. Acute cerebrovascular accident
4. Pulmonary embolism

Correct answer: 1. Gastric ulcer with bleeding

Explanation: Peptic ulcers may be in the stomach, the small intestine just below the stomach, or the food pipe above the stomach. Sometimes, peptic ulcers can bleed (known as bleeding ulcers). More severe bleeding, known as hemorrhaging, can be life-threatening. Infections and some medications can cause bleeding ulcers Ref Davidson 23rd edition pg 683